Positive predictive value depends on all except ?
1. Sensitivity
2. Specificity
3. Prevalence
4. Incidence

Correct answer: 4. Incidence

Explanation: Ans. is 'd' i.e., Incidence Positive predictive value (PPV) of a screening test depends on : - Sensitivity Specificity Prevalence of disease As the sensitivity and specificity of a test are relatively constant, positive predictive value is mainly dependent on the prevelance of disease.